What is the gold standard investigation for Wilson's disease?
1. Measurement of serum ceruloplasmin
2. 24 hour urinary copper excretion
3. Liver biopsy
4. Serum copper estimation

Correct answer: 3. Liver biopsy

Explanation: Gold standard investigation for Wilson's disease is liver biopsy with quantitative copper assay.